Which is "microaerophilic"
1. Campylobacter
2. Vibrio
3. Bacteroides
4. Pseuoomnoas

Correct answer: 1. Campylobacter

Explanation: Campylobacter